In spinal anaesthesia the drug is deposited between :
1. Dura and arachnoid
2. Pia and arachnoid
3. Dura and vertebra
4. Into the cord substance

Correct answer: 2. Pia and arachnoid